Leucine zipper complex is
1. B cell epitomes
2. Receptor ligand protein
3. DNA binding protein
4. Membrane attack complex

Correct answer: 3. DNA binding protein

Explanation: Proteins that bind to DNA contain a limited number of motifs.The helix-loop-helix motif is an example found in a number of proteins that function in a number of proteins that function as transcription factors Example: zinc fingers, and leucine zippers . REF :LIPPINCOTT'S TEXTBOOK OF BICHEMISTRY ;8th EDITION ;Page no :18 AND 422.